"Anhedonia" means
1. Lack of interest
2. Panic attacks
3. Phobic attack
4. Mood swings

Correct answer: 1. Lack of interest

Explanation: Defined as the inability to experience pleasure from activities usually found enjoyableAnhedonia can be characteristic of:Mood disordersSchizoaffective disorderBorderline personality disorderSchizoid personality disorderSchizophreniaRef: Ahuja 5/e p56, 58